Which of the following muscle is supplied by 9th cranial nerve?
1. Palatopharyngeus
2. Salpingopharyngeus
3. Stylopharyngeus
4. Superior constrictor of Pharynx

Correct answer: 3. Stylopharyngeus

Explanation: Stylopharyngeus is the only muscle in the pharynx innervated by the glossopharyngeal nerve (CN IX), others are innervated by the vagus.There are two muscular layers of the pharynxThe outer circular layer includes:Inferior constrictor muscleMiddle constrictor muscleSuperior constrictor muscleThe inner longitudinal layer includes:Stylopharyngeus muscleSalpingopharyngeus musclePalatopharyngeus muscle